Lesion in Wernicke's encephalopathy occurs in -
1. Mamillary body
2. Cerebellum
3. Motor cortex
4. Substantia nigra

Correct answer: 1. Mamillary body

Explanation: In thiamine deficiency, hemorrhages into the mamillary bodies cause Wernicke-korsakof syndrome.
Other regions of CNS involved in thiamine deficiency are periventricular regions of the thalamus, the floor of the fourth ventricle and the anterior region of the cerebellum.